Use of condom prevents which of the following diseases?
1. Carcinoma cervix
2. Carcinoma vulva
3. Herpes simplex genitalis
4. All of the above

Correct answer: 4. All of the above

Explanation: The incidence of CA cervix is low amongst woman whose partners use condom because of prevention of transmission of viral infection (HPV) causing CA cervix. Similarly it can also reduce the risk of CA vulva because it is common in women suffering from STD. Herpes genitalis is a DNA virus. It is transmitted sexually and is an aetiological agent of CA cervix. The incubation period is 3-6 days. Vesicles appear on erythematous base on vulva, vagina and rarely cervix. These vesicles soon rupture leaving multiple shallow ulcers which are painful after bacterial infections. Treatment is with acyclovir. Besides CA cervix it can also causes CA vulva and condom can prevent the transmission. Female latex condoms are most useful in prevention of CA vulva.